Hormone-sensitive lipase is inhibited by
1. Thyroid homone
2. Insulin
3. GH
4. ACTH

Correct answer: 2. Insulin

Explanation: Anti-lipolytic EffectInsulin inhibits lipolysis in adipose tissue due to inhibition of hormone-sensitive lipase.The increased level of FFA in plasma in diabetes is due to the loss of this inhibitory effect on lipolysis.Ref: DM Vasudevan - Textbook of Biochemistry, 6th edition, page no: 283